Reaction due to lysis of bacterial cell wall &necrotic cell product ?
1. Arthus reaction
2. Serum sickness
3. Jerish herheximer reaction
4. Infectious mononucleosis-ampicillin reaction

Correct answer: 3. Jerish herheximer reaction

Explanation: Ans. is 'c' i.e., Jerish herheximer reaction Certain cell wall acting antibiotics cause rapid cell lysis and release of proinflammatory and/or toxic bacterial components, which induce inflammatory response in host. This produces a clinical syndrome known as Jarish-hersheimer reaction. The typical example is treatment of primary and secondary syphilis with penicillin, which may produce fever, malaise and exacerbation of symptoms due to Jarish -hersheimer reaction. The reaction can be managed with antipyretics and antihistaminics. About other options Arthus reaction and serum sickness are type III hypersensitivity reactions due to formation of antigen- antibody complex. In IMN, ampicillin causes rash but this is due to allergic reaction against ampicillin.